Oestrogen causes proliferation of
1. Intermediate cells
2. Superficial cells
3. Basal cells
4. Both superficial and intermediate cells

Correct answer: 2. Superficial cells

Explanation: Oestrogen causes proliferation of glycogen containing superficial cells and progesterone causes proliferation of intermediate cells.